Anthrax bacilli differs from anthracoid bacilli by being -
1. Non-capsulated
2. Strict aerobe
3. Non-motile
4. Haemolytic colonies on blood agar

Correct answer: 3. Non-motile

Explanation: Anthrax bacillus is capsulated, nonmotile and produce nonhemolytic colony on blood agar.
Both Anthrax bacilli and Anthracoid bacilli are strict aerobe.

Ref: Apurba Sastry’s Essentials of Medical Microbiology 1/e p254, Ananthanarayan 9/e p249